Which of the following condition masks low serum haptoglobin in hemolysis?
1. Bile duct obstruction
2. Liver disease
3. Malnutrition
4. Pregnancy

Correct answer: 1. Bile duct obstruction

Explanation: Haptoglobin is a glycoprotein synthesized in the liver that binds free hemoglobin. Its scavenging function counteracts the potentially harmful oxidative and nitric oxide-scavenging effects associated with "free" hemoglobin. Low haptoglobin is considered an indicator of hemolysis. But it is increased in biliary obstruction, hence it will mask the effect of hemolysis on haptoglobin. Increased in: Acute and chronic infection (acute-phase reactant) Malignancy Biliary obstruction Ulcerative colitis Myocardial infarction Diabetes mellitus Decreased in: Newborns and children Pregnancy Malnutrition Posttransfusion Intravascular hemolysis Autoimmune hemolytic anemia Liver disease Ref: Nicoll D., Lu C.M., Pignone M., McPhee S.J. (2012). Chapter 3. Common Laboratory Tests: Selection and Interpretation. In D. Nicoll, C.M. Lu, M. Pignone, S.J. McPhee (Eds), Pocket Guide to Diagnostic Tests, 6e.